Which is the most active single chemotherapeutic agent in the treatment of Leiomyosarcoma -
1. Adriamycin
2. Doxorubicin
3. Methotrexate
4. b or a

Correct answer: 4. b or a

Explanation: Ans. is 'b' or 'a' i.e., Doxorubicin or Adriamycin o Doxarubicin (adriamycin) has been shown to be an effective agent against leiomyosarcomas arising in the uterus. o The best responses in cases of soft tissue tumors have been observed with doxarubicin (adriamycin) and ifsofamide (not in option)